Swiss- cheese liver is found in
1. Adipocere
2. Alcoholism
3. Putrefaction
4. Drowning

Correct answer: 3. Putrefaction

Explanation: Swiss- cheese liver is found in putrefaction. change that occur in putrefaction are. Color changes Gas formation Liquefaction of tissue Liver softens and becomes flabby in 12-24 h, and blisters formation on surface of the liver in 24-36 h. The liver assumes a 'honey comb' ('foamy' or 'Swiss cheese') appearance due to air bubbles formation. It turns into greenish in color, and later changes to coal-black.